Epithelial mesenchymal interaction in tooth development is an example of:
1. Cell signaling
2. Calcification
3. Histodifferentiation
4. Morphodifferentiation

Correct answer: 1. Cell signaling

Explanation: Cells interact through a system of effectors, modulators, and receptors called cell signaling. An example of such a system is epithelial-mesenchymal interaction in tooth development. The precursor cells, odontoblast and ameloblast, establish a positional relationship by means of effectors and receptors that are on the cell surface.